Commonest site of atopic dermatitis is
1. Scalp
2. Trunk
3. Elbow
4. Anterior cubital fossa

Correct answer: 4. Anterior cubital fossa

Explanation: Atopic dermatitis most commonly involves the cheeks in infantile stage and anti-cubital fossa in adults Decreased sudomotor function is involved in the formation of atopic eczema in the cubital fossa. . BACKGROUND: Eczema in the cubital fossa, which is susceptible to sweat, is frequently observed in atopic dermatitis (AD). However, there has been no direct evidence that sweating causes eczema in the cubital fossa. (Ref Harrison 20th edition pg 1267